Abdominal colic pain is a feature of which poisoning ?
1. Opium addiction
2. Arsenic poisoning
3. Mercuric poisoning
4. Lead poisoning

Correct answer: 4. Lead poisoning

Explanation: Ans. is 'd' i.e., Lead poisoning Colic (abdominal pain) and constipation (dry belly ache) is a late manifestation of chronic lead poisoning. Other features of chronic lead poisoningFacial pallor (earliest and most consistent feature).Anemia with punctate basophilia (basophilic stippling) is also an early feature.Burtonian line (stippled blue line) is seen on the gums on upper jaw.EncephalopathyParalysis in the form of wrist and foot drop is a late manifestation, called lead palsy and is due to peripheral neuropathy. It occurs only in less than 10% of cases.Renoyascular manifestations (nephropathy) : Hypertension, arteriolar degeneration and arteriosclerotic nephritismay occur. Rarely, lead poisoning may cause proximal tubular necrosis.Other features include optic atrophy, CVS and reproductive anomalies.